Rocker bottom foot is due to:
1. Over treatment of CTEV
2. Malunited fracture calcaneum
3. Horizontal talus
4. Neural tube defect

Correct answer: 1. Over treatment of CTEV

Explanation: ROCKER BOTTOM FOOT Foot with a convex plantar surface with a apex of convexity at the talar head. Talus is vertical so that its head forms the most prominent part of the sole. The fore foot is deviated outward and dorsally. Causes 1. Oblique/Vertical talus 2. Improper correction of CTEV, i.e. forceful correction of equinus by dorsiflexion before adduction, varus and inversion may actually cause movement at mid tarsal joint (not at ankle joint) producing rocker bottom foot. Rx-Grice procedure is extra-articular arthrodesis of subtalar (talocalcaneal) joint, done for Congenital Vertical Talus.